A progressive increase or decrease of a disease over a long period of time, generally several years or decades is known as
1. Secular trends
2. Cyclic trends
3. Seasonal trends
4. Periodic fluctuations

Correct answer: 1. Secular trends